Modified BPP does not include -
1. Oxytocin
2. NST
3. AFI
4. All of the above

Correct answer: 1. Oxytocin

Explanation: Ans. is 'a' i.e, Oxytocin Modified BPPo Consists ofNST & ultrasonographically determined Amniotic fluid index (AFI).o It is considered abnormal (nonreassuring) when NST is non-reactive and / or the AFI is <5.